True about Sevoflurane-
1. Isopropyl ether
2. MAC is 2%
3. Good to use in old age
4. All

Correct answer: 4. All

Explanation: D. i.e. All of the above